Diplotene and zygotene stages are seen in ?
1. Prophase
2. Metaphase
3. Anaphase
4. Telophase

Correct answer: 1. Prophase

Explanation: Ans. is 'a' i.e., Prophase MeiosisMeiosis is a process of cell division which is observed only during maturation of sex cells i.e. in final process of gamete formation.Meiosis consists of tow consecutive divisions, Meiosis I and Meiosis II, to yield four haploid gamates from a single diploid grand parent cells.Hence, the meiosis is called heterotypical or reduction division.The characteristic of meiosis is that there is no DNA replication between meiosis I and meiosis II.Meiosis IMeiosis I is divided into following phases :?1) Prophase I : It is further divided into following stages :?i) Leptoteneii) Zygoteneiii) Pachyteneiv) Diplotenev) Diakinesis2) Metaphase I3) Anaphase4) Telophase IMeiosis IIIt is divided into following phases :1) Prophase II2) Metaphase II3) Anaphase II4) Telophase